The dose of Dapsone at which it does not cause hemolysis?
1. 50mg
2. 200mg
3. 300mg
4. 500mg

Correct answer: 1. 50mg

Explanation: Doses of dapsone less than 50mg in normal healthy persons cause no hemolysis.Ref: Goodman Gillman 12th ed. Pg: 1564